Corrosion in Amalgam cracks can be described as:
1. Wet corrosion
2. Stress corrosion
3. Crevice corrosion
4. Electrolytic corrosion

Correct answer: 3. Crevice corrosion